In cell lysis by compliments -
1. They activate cyclise
2. Inhibits elongation factor p
3. Destruction of cell wall
4. Increased permeability of cell membrane

Correct answer: 4. Increased permeability of cell membrane